Slow wave sleep is known as:
1. REM sleep
2. NREM sleep
3. Both of the above
4. None of the above

Correct answer: 2. NREM sleep

Explanation: This is a straight forward memory question. There are two kinds of sleep: rapid eye movement (REM) sleep and non-REM (NREM), or slow-wave sleep. Ref: Ganong's Review of Medical Physiology 23rd edition, Chapter 15.